The following are "stop codons" EXCEPT
1. UGA
2. UAU
3. UAA
4. UAG

Correct answer: 2. UAU

Explanation: Ans. b (UAU) (Ref. Harper, 27th/Chapter 37.; Chatterjee, 4th ed., 221)PROTEIN SYNTHESIS:-# Activation of Amino acids:-- Formation of aminoacyl tRNA by key enzyme-Aminoccyl tRNA synthatase-specific for a particular amino acid and also for tRNA- There are 20 different aminoacids (one codon for one amino acid)- Very high specificity is the most significant feature of this enzyme because once amino acid is attached to tRNA recognition of a specific codon on mRNA is due entirely to the tRNA not to the amino acid. (Fidelity = Faithfulness)# Initiation by Aug codon (methionine)# Elongation# Termination by terminator codons or stop codons or nonsense codon-UAA, UGA, UAGFidelity enzyme in protein synthesis-Aminoacyl tRNA sybnthetaseNull = indicates no functional gene product